All are infraclavicular branches of brachial plexus except ?
1. Ulnar nerve
2. Long thoracic nerve
3. Axillary nerve
4. Thoracodorsal nerve

Correct answer: 2. Long thoracic nerve

Explanation: Ans. is `b' i.e., Long thoracic nerve